Poly (A) tail translates into
1. Polyproline
2. Polylysine
3. Polyalanine
4. Polyglycine

Correct answer: 2. Polylysine

Explanation: A poly (A) tail is added to the 3' end of the pre-mRNA once elongation is complete. The poly (A) tail protects the mRNA from degradation, aids in the export of the mature mRNA to the cytoplasm, and is involved in binding involved in initiating translation.